All are true about infantile polycystic kidney disease except ___________
1. Autosomal dominant
2. Hepatic cysts
3. Renal cysts are present at birth
4. Periportal fibrosis

Correct answer: 1. Autosomal dominant

Explanation: Autosomal recessive polycystic kidney disease (ARPKD) is a rare genetic disorder that affects 1 in 20,000 children.8 A fetus or baby with ARPKD has fluid-filled kidney cysts that may make the kidneys too big, or enlarged. ARPKD can cause a child to have poor Reference: GHAI Essential pediatrics, 8th edition